The most popular articulator of class 3B is:
1. Trubyte articulator.
2. Hanau model.
3. Monsoon articulator.
4. All of the above.

Correct answer: 1. Trubyte articulator.

Explanation: Class II B - Monsoon’s instrument
Class lIl A - 1. Hanau model—H non arcon mace

2. Hanau model—H2 arcon mode

Class III B - Trubyte articulator
Class IV B - Pantronic